'Cayenne pepper' stippling due to hemosiderin is found in :
1. Erythroplasia of Queyrat
2. Pagets disease
3. Plasma cell balantitis of zoon
4. Metronidazole

Correct answer: 3. Plasma cell balantitis of zoon

Explanation: C i.e. Plasma cell balantitis of zoon